Agoraphobia is:
1. Fear of getting caught in places from where escape would be difficult
2. Fear of heights
3. Fear of animals
4. Fear of closed spaces

Correct answer: 1. Fear of getting caught in places from where escape would be difficult

Explanation: Fear of getting caught in places from where escape would be difficult - Fear of open spaces Fear of crowded places Fear of enclosed places Fear of travelling alone Fear of public transport Patient is usually home bound Agarophobia and panic disorder are usually comorbid Fear of heights is Acrophobia Fear of closed spaces is Claustrophobia Fear of animals is Zoophobia